The occurrence of hyperthyroidism following administration of supplemental iodine to subjects with endemic iodine deficiency goiter is known as-
1. Jod-Basedow effect
2. Wolff-Chaikoff effect
3. Thyrotoxicosis factitia
4. De Quervain's thyroiditis

Correct answer: 1. Jod-Basedow effect

Explanation: Ans is option 1 - Jod-Basedow effect Contrast agents and other iodine containing substance should be avoided because of risk of inducing the Jod- Basedow effect characterized by enhanced production of thyroid hormone by autonomous nodules. Jod-Basedow disease is synonymous with iodine induced hyperthyroidism and may occur in patients with multinodular goitre after intake of large amount of iodine. Wolff-Chaikoff effect :- phenomenon of iodine dependent transient suppression of thyroid is called Wolff-Chaikoff effect Thyrotoxicosis factita : due to ingestion of excessive amount of exogenous thyroid hormone De Quervain's thyroiditis is same as subacute thyroiditis granulomatosus thyroiditis or viral thyroiditis. Ref Harrison 19e /p2300